Young's operation of Penile cancer is
1. Total amputation of penis with Bilateral ilio - inguinal Block dissection
2. Total amputation of penis with Unilateral ilio - inguinal Block dissection
3. Partial amputation of penis with Bilateral ilio - inguinal Block dissection
4. Partial amputation of penis with Unilateral ilio - inguinal Block dissection

Correct answer: 3. Partial amputation of penis with Bilateral ilio - inguinal Block dissection